Derivatives of HINDGUT are all except:
1. Urinary Bladder
2. Rectum
3. Uterus
4. Anal Canal

Correct answer: 3. Uterus

Explanation: Ans. C. UterusDerivatives of the three parts of the primitive gutForegut* Floor of mouth* Tongue* Pharynx* Derivatives of pharyngeal pouches* Thyroid* Esophagus* Respiratory system* Stomach* Proximal (upper) half of the duodenumMidgut* Liver* Pancreas* Extrahepatic biliary system* Distal (lower) half of the duodenum* Jejunum* Ileum* Cecum and appendix* Ascending colon* Right two-third of transverse colonHindgut* Left one-third of transverse colon* Descending colon* Sigmoid (pelvic) colon* Rectum* Upper part of the anal canal